Which of the following is true about multiple sclerosis except -
1. Nystagmus on abducting eye
2. Nystagmus on adducting eye
3. One and half syndrome
4. Pendular nystagmus

Correct answer: 2. Nystagmus on adducting eye